All are true about submucosal cleft palate except
1. Bifid uvula
2. Notched hard palatte
3. Lip pits
4. Zona pellucida

Correct answer: 3. Lip pits

Explanation: Submucosal Cleft palate A congenital defect that affects the underlying structure of the palate, while the oral surface mucosa is intact Most children with submucosa cleft palate are asymptomatic and this is often not diagnosed until later Identification of submucosa cleft palate requires intra oral examination for Bifid uvula Zona pellucida (submucosal absence of muscularis uvulae) Notching of posterior border of hard palate Nasopharyngeal regurgitation during feeding (only finding of occult submucosal cleft palate) Ref: Cleft palate and craniofacial abnormalities by Ann W. Kummer Pgno :51